Amount of Alcohol consumption amongst a group of Alcoholics, before and after intervention was recorded. The most appropriate statistical test to assess 'significant change' from the intervention programme would be -
1. Paired t test
2. Unpaired t test
3. Chisquare Test
4. McNemar Test

Correct answer: 1. Paired t test

Explanation: Ans. is 'a' i.e., Paired t test The recommended test for 'within group' comparisons such as comparison between Pre-intervention and Post-intervention values of the same group (such that every participant is in both groups) is the paired 't' test (Dependent `RTI' test).